"Carbon credits" are issued in the terms of units of Certified Emission Reduction (CER). Each CER is equivalent to -
1. 1 kg of CO2 reduction
2. 10 kg of CO2 reduction
3. 100 kg of CO2 reduction
4. 1 ton of CO2 reduction

Correct answer: 4. 1 ton of CO2 reduction

Explanation: The offset certificates issued by the clean development mechanism (CDM) are the certified emission reductions (CERs). Each CER is equivalent to one tonne of carbon dioxide (CO2) avoided or removed from the atmosphere. By using CERs, emissions are offset Ref: Internet